To diagnose anemia in age group 2 years to 5 years, level of hemoglobin should be?
1. < 14g/dl
2. < 11g/dl
3. < 12g/dl
4. < 13g/dl

Correct answer: 2. < 11g/dl

Explanation: ANEMIAS IN CHILDREN (WHO DEFINITION): - Children of age - Hb < 11 g/dl - Children of age - Hb < 11.5 g/dl - Children of age - Hb < 12 g/dl